Earliest feature of pulmonary venous hypertension is –
1. Upper lobar vessel dilatation
2. Kerley B lines
3. Left atrial enlargement
4. Pleural effusion

Correct answer: 1. Upper lobar vessel dilatation

Explanation: Cephalization of pulmonary vascularity is the first radiological sign of pulmonary venous hypertension amongst the options provided. Pulmonary venous hypertension results in diversion of blood flow from lung bases to the zipper lobes. This reversal of normal gravity dependent pattern and upper lobe venous diversion is first radiological sign.